Drugs used in scabies are all except:
1. Crotamiton
2. Permethrin
3. Gamma-benzene hexachloride(BHC)
4. Tacrolimus

Correct answer: 4. Tacrolimus

Explanation: Ans: D (Tacrolimus) "Tacrolimus is a calcineurin inhibitor(immunomodulator) used in atopic dermatitis, vitiligo & rosacea Neena Khanna 3rd/345"Scaibicides used are: Permethrin cream (5%), Gamma benzene hexachloride (G-BHCl %), Crotamiton (10%), Benzyl benzoate (25%) & Ivermectin (single oral dose 200 ug/kg)"- Neena Khanna 3rd/297SCABIES (SARCOPTES SCABIEI VAR. HOMINIS): Short Review# Morphology: Pruritic, erythematous papules, burrows, and vesicles in web spaces, volar wrists, waist, genitals anti axillae n Sea Ip, face, palm $ sales are characteristically involved in infunts/childrenThe itching and rash associated with scabies derive from a sensitization reaction directed against the excreta that the mite deposits in its burrow. Burrows become surrounded by infiltrates of eosinophils, lymphocytes, and histiocytes, and a generalized hypersensitivity rash later develops in remote sitesHyperinfestation with thousands of mites, a condition known as crusted scabies or Norwegian scabies, may result from glucocorticoid use, immunodeficiency', and neurologic and psychiatric illnesses that limit itching and scratching.Intense itching worsens at night and after a hot showed* Scabies: Treatment Harrison 18th/3577Permethrin cream (5%) is less toxic than 1% HndanefG- BHC) preparations and is effective against lindane-tolerant infestations.Successful treatment of crusted scabies requires preapplication of a keratolytic agent such as 6% salicylic acid and then of scabicides to the scalp, face, and ears.Although ivermectin, a single oral dose (200 gg/kg) effectively treats scabies in otherwise-healthy persons; patients with crusted scabies may require two doses separated by an interval of 1-2 weeks.Antihistamines, salicylates, and calamine lotion relieve itching during treatment, and topical glucocorticoids are useful for pruritus.To prevent reinfestations, bedding and clothing should be washed and/or dried on high heat or heat-pressed, and close contacts, even if asymptomatic, should be treated simultaneously.